Seminoma correspond to -
1. Choriocarcinoma
2. Dysgermonoma
3. Granulosa tumor
4. Luteal cyst

Correct answer: 2. Dysgermonoma

Explanation: Answer is 'b' i.e. Dysgerminoma